Which is a feature of haloperidol toxicity?
1. Weight loss
2. Long QT
3. Diahorrea
4. Tendinitis (Ref: Kaplan and

Correct answer: 2. Long QT

Explanation: Long QT